Which gland opens on posterolateral margin of vaginal opening:
1. Skene gland
2. Cooper gland
3. Bulbourethral gland
4. Bartholin’s gland

Correct answer: 4. Bartholin’s gland

Explanation: The orifice of urethra and vagina are associated with the opening of glands.
The ducts of para-urethral glands (Skene's gland) opens into the vestibule, one on each side of the lateral margin of the urethra.
The ducts of the greater vestibular gland (Bartholin’s gland) open adjacent to the postero-lateral margin of the vaginal opening in the crease between the vaginal orifice and remnants of the hymen.
Bartholin gland the female homologues of the bulbourethral glands in men. Also Now
When Bartholin's gland is blocked, a fluid-filled cyst named bartholins cyst develops.
TOC for bartholins cyst: Marsuplization.